Bilateral centrocaecal scotoma more marked with red than white colour is a feature of:
1. Tobacco amblyopia
2. Leber's disease
3. Papilledema
4. Quinine amblyopiafs

Correct answer: 1. Tobacco amblyopia

Explanation: Ans. Tobacco amblyopia